Reciprocal inhibition is done by -
1. Systemic desensitization
2. Behaviour therapy
3. Flooding
4. All of the above

Correct answer: 1. Systemic desensitization

Explanation: Systemic desensitization is based on the principle of reciprocal inhibition.